First sign of improvement in oral iron therapy is ?
1. Reticulocytosis
2. Raise of hemoglobin
3. Increase in ESR
4. Raise in RBC

Correct answer: 1. Reticulocytosis

Explanation: In oral Fe therapy in Fe deficiency anemia there will be initial reticulocytosis followed by Hb rise by 10g/L/week continue until Hb is normal for 3 mnths. Table 2 Traditional oral iron preparations (ferrous iron salts) Drug Content in elementary iron Ferrous sulphate (FS) Can vary by manufacturer in different countries, generally 20-30% of total mg of mineral salt. Examples: 105 mg in 330 mg FS tablets (Europe); 65 mg in 325 mg FS tablets (US) 15 mg/ml pediatric drops (US) 60 mg/5 ml syrup (US) Ferrous glycine sulphate 100 mg in 567 mg tablets Ferrous gluconate (FG) Generally less than FS (10-14% of total mg of mineral salt) 80 mg in 695 effervescent tablets (EU); 27 mg in 240 mg FG tablets (US); Ferrous fumarate (FF) Generally 33% of total mg of mineral salt Examples: 29.5 mg in 90 mg FF tablets; 106 mg in 325 mg FF tablets Ref : oxfords handbook of clinical medicine pg :320 Ref robbins 9/e p419